The usual metabolic pathway of ingested fluoride involves urinary excretion primarily with the remaining portion found largely in:
1. Teeth
2. Muscle
3. Skeletal tissues
4. Liver

Correct answer: 3. Skeletal tissues